IUD Cu 7380A life span is :
1. 1 year
2. 4 year
3. 5 year
4. 10 year

Correct answer: 4. 10 year

Explanation: 10 year